Which of the following is not true about the Tuberculin test -
1. It is only tool available for estimating the prevalence of TB in a community
2. Induration of 10 mm indicates a positive test
3. It is a specific test
4. New cases occur more commonly in patients who are tuberculin reactors

Correct answer: 3. It is a specific test

Explanation: The validity of tuberculin test is subject to variability. It is limited by lack of specificity Reference; Park's Textbook of preventive and social medicine, 24th edition.Pg no. 196